Which of the following drugs should be given in sustained release oral dosage form?
1. An anti-arrhythmic drug with a plasma half life of 10 seconds used for acute treatment of PSVT
2. An anti-inflammatory drug with a plasma half life of 24 hr
3. A hypnotic drug with a plasma half life of 2 hours
4. An antihypertensive with a plasma half life of 3 hours

Correct answer: 4. An antihypertensive with a plasma half life of 3 hours

Explanation: Sustained release preparation are used for prolonged duration of action of drug . So, used when drug has short half life and when we require the action of drug for longer duration. Anti-hypertensive drug are used for lifelong. So, sustained release preparations are required. Anti-arrhythmic drugs used in treatment of PSVT are not to be used as sustained release preparation as we need action for only a short duration. Anti-inflammatory drug with the half life of 24 hrs is already acting for long duration we don't need sustained release preparation. Hypnotic drug with a half life of 2hrs will work for 5-6 hrs. So, no need of sustained release preparation.